Negri bodies are not found in which part of CNS?
1. Basal ganglia
2. Hippocampus
3. Purkinje Nucleus
4. White matter

Correct answer: 4. White matter